Erythropoietin is secreted from:
1. Juxtaglomerular cells
2. Macula densa
3. Interstitial cells
4. Glomerulus

Correct answer: 3. Interstitial cells

Explanation: In adults, about  85% of the erythropoietin comes from the kidneys and 15% from the liver. 
Erythropoietin is produced by interstitial cells in the peritubular capillary bed of the kidneys and by perivenous hepatocytes in the liver.